Which of the following is not an amide:
1. Lidocaine
2. Procaine
3. Prilocaine
4. Etidocaine

Correct answer: 2. Procaine

Explanation: Ans. is 'b' i.e. procaineThis one has been repeated so many times beforeAmide linked Local anaestheticsLidocaineBupivacaineDibucainePrilocaineRopivacaineEster linked local anaestheticsCocaineProcaineChlorprocaineTetracaineBenzocaine